An 88-year-old woman is brought to the casualty by her family after a fall 12 hours prior to presentation. She complains of pain in her left wrist, leg, and lower back. She has recently been told by her PHC doctor that she has osteoporosis. On physical examination, her left wrist is tender and has a deformity. She is tender in her low lumbar region. Her left lower extremity is shortened and externally rotated. She is has normal motor strength, sensation, and pulses in her upper and lower extremities. X-ray films reveal a dorsally angulated and displaced fracture of her distal radius. X-ray films of her lumbar spine reveal a compression fracture of the T12 vertebra. X-ray films of her left leg reveal a left femur fracture. The basic abnormality affecting this patient's bones is which of the following?
1. Abnormal collagen synthesis and failure of crosslinking
2. Abnormal collagen synthesis with normal crosslinking
3. Reduction in bone formation with defective bone mineralization
4. Reduction in bone mass with normal bone mineralization

Correct answer: 4. Reduction in bone mass with normal bone mineralization

Explanation: Osteoporosis is a reduction in bone mass with normal bone mineralization. There is a quantitative defect of bone. However, the bone that is present has normal mineralization. Abnormal bone remodeling is characteristic of Paget disease. This woman's condition is not due to abnormal collagen synthesis, with or without normal cross-linking. Abnormal collagen synthesis associated with a failure of cross-linking is the description of osteogenesis imperfecta. Reduction in bone formation with defective bone mineralization is defined as osteomalacia. Reduction in osteoclast function is the definition for osteopetrosis, or Marble bone disease.